Astasia-abasia is seen in patients with which of the following disorder?
1. Illness anxiety disorder
2. Conversion disorder
3. Somatic symptom disorder
4. Depression

Correct answer: 2. Conversion disorder

Explanation: Astasia-abasia Seen in a Conversion disorder(FunctionalNeurological Symptom Disorder) Gait- Ataxic, staggering Movements - Gross, irregular, jerky truncal Waving and thrashing arm movements Fall is rarely seen